Bejel is caused by -
1. T. pallidum
2. T. endemicum
3. T. pertenue
4. T. carateum

Correct answer: 2. T. endemicum